Structure passing through superior orbital fissure
1. Oculomotor nerve
2. Trochlear nerve
3. Superior ophthalmic vein
4. All of the above

Correct answer: 4. All of the above

Explanation: Ref BDC volume 3.6th edition pg 56 The superior orbital fissure has; Lateral part-lacrimal and frontal nerves, trochlear nerves, superior ophthalmic vein,meningeal branch of lacrimal artery,anastomotic branch of middle meningeal artery which anastomoses with recurrent branch of lacrimal artery Middle part-upper and lower division of oculomotor nerve, nasociliary nerve, abducent nerve Medial part-inferior ophthalmic vein, sympathetic nerve from plexus around internal carotid artery